A newborn had pinkish-blue lesion over upper eyelid. There was no lid edema or eye involvement and the lesion regressed spontaneously at about one year of age. What is the diagnosis?
1. Portwine stain
2. Capillary hemangioma
3. Salmon patch
4. Crisoid aneurysm

Correct answer: 3. Salmon patch

Explanation: Salmon Patch (Nevus Simplex) Small, pale, pink, ill-defined, vascular macules on the glabella, eyelids, upper lip, and nuchal area Present as localized vascular ectasia and may become more visible during crying or changes in environmental temperature. Lesions on the face fade and disappear completely, but on the posterior neck and occipital areas often persist. Symmetric lesions on both eyelids & both sides of midline. Port-wine stains are often larger , unilateral, permanent & usually end along the midline.